Lowest projection of ligamentum denticulatum lies at which level -
1. T9 T10
2. T12 L1
3. S2 S3
4. S4 S4

Correct answer: 2. T12 L1

Explanation: Ans. is 'b' i.e., T12 L1 "The last of the dentate ligament lies between the exiting twelfth thoracic and first lumbar spinal nerves " -- Gray s Ligamentum denticulatumo Running longitudinally along each lateral margin of the spinal cord there is a thickening of piamater that projects laterally.o This thickening is the ligamentum denticulatum.o it lies midway between the lines along which ventral and dorsal nerve roots of spinal nerve emerge from the spinal cord.o A number of pointed projections extend laterally form this ligament: that is why it is called the ligamentum denticulatum. o In the vertical plane each projection lies in the interval between two spinal nerves.o it's pointed end passes through arachnoid mater to fuse with the dura matero In all the ligamentum denticulatum bears 21 projections.o The highest of these lies at the level of the foramen magnum (i.e., above the emergence of the first cervical nerve), o The lowest projection lies between spinal nerves T12 and L1.o The ligamentum denticulatum, helps to keep the spinal cord at the centre of the vertebral canal.